Agoraphobia is :
1. Getting caught in places from where escape would be difficult
2. Fear of heights
3. Fear of animals
4. Fear of closed spaces

Correct answer: 1. Getting caught in places from where escape would be difficult

Explanation: A i.e. Getting caught in places from where escape would be difficult